A thirty year man presented with nausea, fever and jaundice of 5 days duration. The biochemical tests revealed a bilirubin of 6.7 mg/dl (conjugated 5.0 mg/dl) with SGOT/SGPT (AST/ALT) of 1230/900 IU/ml. The serological tests showed presence of HBsAg, IgM anti HBc and HBe Ag. The most likely diagnosis -
1. Chronic hepatitis B infection with high infectivity
2. Acute hepatitis B infection with high infectivity
3. Chronic hepatitis B infection with low infectivity
4. Acute hepatitis B infection with low infectivity

Correct answer: 2. Acute hepatitis B infection with high infectivity

Explanation: HBs Ag is the first marker appear in the blood after infection. Anti-HBc is the earliest antibody seen in blood.HBeAg indicates infectivity REF:MICROBIOLOGY ANANTHA NARAYANAN NINTH EDITION PAGE.546&547